In a 3 year old most common cause of Hepatitis B is
1. Pin prick
2. Saliva exchange
3. Perinatal
4. Blood transfusion

Correct answer: 3. Perinatal

Explanation: *HBV is transmitted through contact with blood and body fluids of an infected person . *In highly endemic areas , HBV infections occur mainly due to perinatal transmission resulting from carrier mothers to their infants during first 5 years of life. * It may also occur through horizontal transmission from casual contact . * HBV is not transmitted by breastfeeding Reference : OP Ghai pgno 217 9th edition.